All of the following are cardiac contraindications to pregnancy, EXCEPT:
1. Eisenmenger's syndrome
2. Pulmonary Hypertension
3. Coarctation of Aorta
4. WPW syndrome

Correct answer: 4. WPW syndrome

Explanation: WPW syndrome is a congenital anomaly involving the presence of an additional conducting system between atria and the ventricle, is characterized by short PR interval on ECG. Pregnancy is not contraindicated in WPW syndrome, but there is a greater incidence of supraventricular tachyarrhythmia during pregnancy. Ref: Williams Obstetrics, 23rd Edition, Page 975; Mayo Clinic Cardiology : Concise Textbook, 3rd Edition, Page 955; Cardiology At a Glance By Lee, 1st Edition, 2002, Page 146; Fetal Cardiology By Yagel and Gembruch, 2nd Edition, Page 728.